Every 3 degree abduction of arm at shoulder region, the scapular rotation accounts to
1. 1 degree
2. 2 degrees
3. 3 degrees
4. 0.5 degrees

Correct answer: 1. 1 degree